A hypertensive patient with BP 160/90 mm of Hg presents with increased level of Lipoprotein a. Which Hypolipidemic drug will you prescribe?
1. Fenofibrate
2. Pitavastatin
3. Niacin
4. Ezetimibe

Correct answer: 3. Niacin

Explanation: Ans: (c) NiacinRef: SN Narasingan, Newer Lipid Guidelines: Interpretation and Applications for Indians. ttp://www.apiindia.org/pdf/medicine_update_2017/mu_155.pdfNiacin is the only drug that lowers lipoprotein (a).So, niacin may be preferable for individuals with lipoprotein (a) elevations.It causes maximum HDL increase among drugs used in dyslipidemia treatment.Other options:FenofibrateIt is a fibric acid derivative, acting through PPAR alpha receptor and activates lipoprotein lipase.It reduces triglycerides.PitavastatinHMG CoA Reductase inhibitor.Causes maximum reduction of LDL.EzetimibeIt is a cholesterol ester transport inhibitor, inhibiting transport of cholesterol from intestine to circulation.It is used along with statins.